Regarding new ORS formula, which of the following is true
1. Na con is 75 Mm/L
2. Glucose con is 75Mm/L
3. Total osmolarity is 245 Osm/L
4. All the above

Correct answer: 4. All the above

Explanation: New ORS formula contains less Na and glucose than standard and osmolarity decreased to 245Osm/L.Ref:KDT6/e p659